The use of hyperimmune sera such as hepatitis B immune globulin, rabies immunoglobulin, and human tetanus immune globulin for prophylaxis or treatment is an example of what process?
1. Active immunity
2. Passive immunity
3. Humoral immunity
4. Cellular immunity

Correct answer: 2. Passive immunity

Explanation: The use of hyperimmune sera for treatment or prophylaxis is referred to as "passive immunization". This approach is used when allowing the development of a natural immune response would take too long and directly threaten patient survival. This type of immunity is of short duration and has no memory component. Ref: Levinson W. (2012). Chapter 57. Immunity. In W. Levinson (Ed), Review of Medical Microbiology & Immunology, 12e.